'BEATING HEART DONOR' refers to
1. Molecular death
2. Vegetative state
3. Cerebral death
4. Brain stem death

Correct answer: 4. Brain stem death

Explanation: THE BEATING-HEART DONOR: After brain stem death has been established, the retention of the patient on the ventilator facilitates a fully oxygenated cadaver transplant, the so-called "beating-heart donor". The results of the transplant are much improved. This has no legal sanction. Ref:- k s narayan reddy; pg num:-136